Preauricular sulcus is useful for determination of:
1. Race
2. Sex
3. Stature
4. Age

Correct answer: 2. Sex

Explanation: Ans. Sex